Bone resorption is enhanced by
1. PGD2
2. PDF2
3. PGE2
4. PGI2

Correct answer: 3. PGE2

Explanation: Bone resorption is increased by prostaglandin E2. Increased PGE2 stimulates binding of RANK ligand to RANK- stimulating osteoclast-causing resorption (REF.Essential of medical pharmacology K D TRIPATHI 6 Edition, Page No - 325)